A 75-year-old patient suffering from congestive heart failure accidentally ingests a toxic dose of digoxin. Clinical consequences due to the toxic effects of cardiac glycosides are likely to include
1. Seizures
2. Visual disturbances
3. Bicarbonaturia
4. Intermittent claudication

Correct answer: 2. Visual disturbances

Explanation: Digoxin adverse effects- CNS effects, visual manifestations, arrhythmia and GI symptoms. Digoxin inhibits Na+/K+-ATPase and impairs the uptake of K+ by skeletal muscle, such that digoxin overdose predictably results in hyperkalemia.